All of the following features are associated with Delirium tremens EXCEPT
1. Agitated
2. Insomnia
3. No loss of sleep
4. Reversal of sleep wake pattern

Correct answer: 3. No loss of sleep

Explanation: (C) No loss of sleep # Delirium tremens Symptoms are> Clouding of consciousness> Poor attention span> Visual hallucinations which are often vivid and frightening> Tactile hallucinations and auditory hallucinations> Marked autonomic disturbances> Tachycardia Fever Sweating Hypertension Pupillary dilatation> Psychomotor agitation and ataxia> Insomnia> Dehydration> The course is short with recovery occurring within 3-7 days> Reversal of sleep pattern